The preferred treatment option for primary syphilis is :
1. Injection Benzathine pencillin 2.4 million units IM single dose
2. Injection Benzathine penicillin 2.4 million units IM Once a week for 3 weeks
3. Cap. Doxycycline 100 mg orally twice a day for 2 weeks
4. Tab. Azithromycin 2 gin single dose

Correct answer: 1. Injection Benzathine pencillin 2.4 million units IM single dose